Atomic number of tungsten
1. 42
2. 181
3. 74
4. 82

Correct answer: 3. 74

Explanation: Answer: c) 74